Incubation period of mumps?
1. 7-14 days
2. 14-24 days
3. 20-3 days
4. 30-40 days

Correct answer: 2. 14-24 days

Explanation: Ans- B 14-24 days Incubation Period. Time it takes to start having symptoms after contact with infection. Contagious Period. Time during which a sick child's disease can spread to others. Sometimes, children can return to school before this period is over. Infections that cannot be spread to others. Many common bacterial infections are not spread to others. Examples are ear, sinus, bladder, or kidney infections. Pneumonia also cannot be passed to others. Sexually transmitted diseases are usually not spread to children. But, they can be spread if there is sexual contact or shared bathing. Infection Exposure Table DISEASE INCUBATION PERIOD (DAYS) CONTAGIOUS PERIOD (DAYS) Skin Infections/Rashes: Chickenpox 10-21 2 days before rash until all sores have crusts (6 - 7days) Fifth disease (Erythema infectiosum) 4-14 7 days before rash until rash begins Hand, foot, and mouth disease 3-6 Onset of mouth ulcers until fever gone Impetigo (strep or staph) 2-5 Onset of sores until 24 hours on antibiotic Lice 7 Onset of itch until 1 treatment Measles 8-12 4 days before rash until 4 days after rash appears Roseola 9-10 Onset of fever until rash gone (2 days) Rubella (German measles) 14-21 7 days before rash until 5 days after rash appears Scabies 30-45 Onset of rash until 1 treatment Scarlet fever 3-6 Onset of fever or rash until 24 hours on antibiotic Shingles (contagious for chicken pox) 14-16 Onset of rash until all sores have crusts (7 days) (Note: No need to isolate if sores can be kept covered.) Warts 30-180 Minimally contagious Respiratory Infections: Bronchiolitis 4-6 Onset of cough until 7 days Colds 2-5 Onset of runny nose until fever gone Cold sores (herpes) 2-12 Footnote 1 Coughs (viral) or croup (viral) 2-5 Onset of cough until fever gone Diphtheria 2-5 Onset of sore throat until 4 days on antibiotic Influenza 1-2 Onset of symptoms until fever gone Sore throat, strep 2-5 Onset of sore throat until 24 hours on antibiotic Sore throat, viral 2-5 Onset of sore throat until fever gone Tuberculosis 6-24 months Until 2 weeks on drugs (Note: Most childhood TB is not contagious.) Whooping cough 7-10 Onset of runny nose until 5 days on antibiotic Intestinal Infections: Diarrhea, bacterial 1-5 Footnote 2 for Diarrhea Precautions Diarrhea, giardia 7-28 Footnote 2 for Diarrhea Precautions Diarrhea, traveler's 1-6 Footnote 2 for Diarrhea Precautions Diarrhea, viral (Rotavirus) 1-3 Footnote 2 for Diarrhea Precautions Hepatitis A 14-50 2 weeks before jaundice begins until jaundice resolved (7 days) Pinworms 21-28 Minimally contagious, staying home is unnecessary Vomiting, viral 2-5 Until vomiting stops Other Infections: Infectious mononucleosis 30-50 Onset of fever until fever gone (7 days) Meningitis, bacterial 2-10 7 days before symptoms until 24 hours on IV antibiotics in hospital Meningitis, viral 3-6 Onset of symptoms and for 1-2 weeks Mumps 12-25 5 days before swelling until swelling gone (7 days) Pinkeye without pus (viral) 1-5 Mild infection, staying home is unnecessary Pinkeye with pus (bacterial) 2-7 Onset of pus until 1 day on antibiotic eyedrops Notes Cold sores: Less than 6 years old, contagious until cold sores are dry (4-5 days). No isolation if sores are on part of body that can be covered. More than 6 years old, no isolation necessary if beyond touching, picking stage. Diarrhea Precautions: Contagious until stools are formed. Stay home until fever is gone, diarrhea is mild, blood and mucus are gone, and toilet-trained child has control over loose stools. Shigella and E-coli 0157 require extra precautions. Consult your child care provider regarding attendance restrictions. Author: Barton D. Schmitt, M.D., FAAP